Keratosis is a feature of deficiency of
1. Vit A
2. Vit C
3. Vit D
4. Folic acid

Correct answer: 1. Vit A